To synthesize insulin on a large scale basis, the most suitable starting material obtained fro the beta cells of the pancreas is:
1. Genomic DNA
2. Total cellular RNA
3. CDNA of insulin
4. MRNA of insulin

Correct answer: 4. MRNA of insulin

Explanation: D i.e. mRNA of insulin Insulin is synthesized on a large scale basis from complementary DNA's (cDNA), using recombinant technology. But cDNA is not the starting material. cDNA are derived from mRNAQ.Thus mRNA is starting material for insulin synthesis on a large scale basis.Construction of cDNA from mRNA